Non steroidal/ anti hormonal substance used to induce ovulation:
1. Mifepristone
2. Clomiphene citrate
3. Tamoxifen
4. Raloxifen

Correct answer: 2. Clomiphene citrate

Explanation: Clomiphene citrate is used for ovulation induction. Dose- 50mg/day startingfrom day 2 to day 6 of the cycle for 5 days. Clomiphene citrate is nonsteroidal triphenylethylene derivative that demonstrates both estrogen agonist and antagonist properties. Williams textbook of gynaecology 3rd edition page 451